Brucellosis can be transmitted by all of the following modes, except -
1. Contact with infected placenta
2. Ingestion of raw vegatable from infected farms
3. Person to person transmission
4. Inhalation of infected dust or aerosol

Correct answer: 3. Person to person transmission

Explanation: Person to person transmission not occur. Mode of transmission of brucellosis are contact infection,food borne infection,air borne infection. Reference:Park's textbook of preventive and social medicine,K.Park,23rd edition,page no:290-291.